The maximum density of goblet cells is seen in –
1. Superior conjunctiva
2. Inferior conjunctiva
3. Nasal conjunctiva
4. Temporal conjunctiva

Correct answer: 3. Nasal conjunctiva

Explanation: Goblet cells are the chief source of tear mucosa and they are most dense nasally.